Distal renal tubular acidosis is associated with-
1. oxalate stones
2. Citrate
3. Calcium stones
4. Uric acid stones

Correct answer: 3. Calcium stones

Explanation: In distal A - Most patients have hypocitrauria Hypercalciuria,so nephrolithiasis ,nephrocalcinosis and bone disease are common. Ref:Harrison 20 th edition pg no 320.